Rotterdam criteria are used to evaluate -
1. CA Breast
2. Aberrations in normal development and involution
3. PCOS
4. CA Cervix

Correct answer: 3. PCOS

Explanation: Answer- C. PCOSRotterdam criteriaTwo of the following three criteria are required :Oligo/anovulationHyperandrogenismClinical (hirsutism or less commonly male pattern alopecia) orBiochemical (raised FAI or free testosterone)Polycystic ovaries on ultrasound